A 36-year-old man developed neck and left arm pain. He noted paresthesias in the left index and long fingers. He was found to have weakness of the left triceps muscle and a diminished left triceps jerk. His left-sided disc herniation is most likely to be at:-
1. C3-C4
2. C4-C5
3. C5-C6
4. C6-C7

Correct answer: 4. C6-C7

Explanation: DISCUSSION: This patient has all of the neurologic components of the most common cervical disc syndrome, that caused by a herniation at the C6-C7 level with compression of the C7 nerve root.